A 50 years old man has a 2 year history of facial bullae & oral ulcers. Microscopic smear from skin lesions is most likely to disclose – a) Tzanck cellsb) Acantholytic cellsc) Necrosisd) Koilocytosis
1. c
2. d
3. ab
4. ac

Correct answer: 3. ab

Explanation: Facial bulla and oral ulcers (mucosal involvement) in a 50 years man suggest the diagnosis ofpemphigus vulgaris. The smear from the lesions will show ancantholytic cells also referred to as Tzank cells, which are separated keratinocytes.